Recent first line management of trigeminal neuralgia:
1. Peripheral neurectomy.
2. Anticonvulsant drugs'.
3. Radio-frequency ablation.
4. Diagnostic regional nerve block.

Correct answer: 2. Anticonvulsant drugs'.